Methotrexate is best suited when b-hCG concentration is:
1. <5000 IU
2. <6000 IU
3. <7000 IU
4. <10,000 IU

Correct answer: 1. <5000 IU

Explanation: Ans. is a, i.e. < 5000 IU.(Ref. Williams Obs 25/e pg 378)Failure rate of methotrexate is 3.8%. If b-hCG levels are < 5000 IU but rise to 14% if levels are between 5000-10,000.